Heparin therapy should be monitored with intermittent estimation of:
1. Bleeding time
2. aPTT
3. Prothrombin time
4. All of the above

Correct answer: 2. aPTT

Explanation: aPTT is maintained 1.5 - 2 times the normal mean aPTT value. Clotting time is maintained at 1.8 - 2.5 times the normal mean aPTT value. From medical pharmacology padmaja 4th edition Page no 335